All are true regarding optic neuritis except:
1. Decreased visual acuity
2. Decreased pupillary reflex
3. Abnormal electroretinogram
4. Abnormal visual evoked response retinogram

Correct answer: 3. Abnormal electroretinogram

Explanation: Electroretinogram indicates the activity of retinal (esp. rods & cones) function and has no role in assessing the functional integrity of the optic nerve. So it can't be abnormal in optic neuritis. Ref: AK khurana 7th ed.